A dome shaped skull is known as
1. Brachy-cephaly
2. Oxy-cephaly
3. Scapho-cephaly
4. Rhomb-encephaly

Correct answer: 2. Oxy-cephaly